Which of the following is a subepidermalvesiculobullous disorder?
1. Pemphigus vulgaris
2. Bullous pemphigoid
3. Pemphigus vegetans
4. Pemphigus erythematosus

Correct answer: 2. Bullous pemphigoid

Explanation: Ans. is 'b' i.e., Bullous pemphigoid